Taste sensations from anterior 2/3rd of tongue are carried by:
1. Glossopharyngeal nerve
2. Chorda tympani nerve
3. Trigeminal nerve
4. Greater auricular nerve

Correct answer: 2. Chorda tympani nerve

Explanation: Taste sensation from anterior 2/3rd of tongue is carried by chorda tympani (branch of facial nerve),  towards the facial nerve and geniculate ganglion.